Which hormone is responsible for acne ?
1. Estrogen
2. Thyroid
3. Testosterone
4. Gonadotropins

Correct answer: 3. Testosterone

Explanation: Ans. is 'c' i.e., Testosterone Predisposing factors for Acne vulgaris Genetic factors Hormones -4 Androgens, glucocorticoids. Psychological stress and depression. Environmental factors High temperature & humidity. Cosmetics -3 Containing lenolin, petroleum, vegetable oils. Infection --> Propionibacterium, Pityrosporum, Staph. epidermidis. Menstural cycle -4 Premenstural aggravation. Hyperkeratosis of pilosebaceous ostia. Drugs Antepileptics (Carbamazepine, phenytoin, phenobarbitone), antitubercular (INH, rifampin, ethionamide), antidepressants, cyclosporine, Vitamin B12.Cough syrups containing halogens (Iodides, bromides).